What is the basic minimum illumination required for satisfactory vision ?
1. 10-15 foot candles
2. 15-20 foot candles
3. 20-25 foot candles
4. 25-30 foot candles

Correct answer: 2. 15-20 foot candles

Explanation: Ans. is 'b' i.e., 15 to 20 foot Candles Light Good light is essential for efficient vision If the lighting conditions are not ideal. the visual apparatus is put to strain which may lead to general fatigue and loss of efficiency. o An illumination of 15 to 20 foot candles is accepted as a basic minimum fin' satislUctoty